Young operation is used in?
1. Allergic rhinitis
2. Vasomotor rhinitis
3. Atropic rhinitis
4. Lupus vulgaris

Correct answer: 3. Atropic rhinitis

Explanation: Ans. is 'c' i.e., Atropic rhinitis Treatment of Atrophic rhinitis It may be medical or surgical Medical treatment Nasal irrigation and removal of crusts by warm normal saline or warm nasal alkaline douche made up of sodium bicarbonate, sodium biborate and sodium chloride in water. 25 % glucose in glycerine : Following removal of the crust the nose is painted with 25% glucose in glycerine. Glucose-Inhibits proteolytic organisms, Glycerine is a hygroscopic agent. Other local antibiotics : Kemicetine antiozaena solution : 1 ml contains chloramphenicol (90 mg), estradiol dipropionate (0.64 mg), vit D2 (900 IU) and propylene glycol. o Potassium iodide : By mouth to increase the nasal secretion. Human placental extract is given in the form of submucosal injections. Other drugs : Rifampicin, Streptomycin to decreases the odour and crusts. Oestradiol spray to Tvascularity of nasal mucosa. Placental extract injected submucosally. Surgical treatment 1. Young's operation Closure of both the nostril following elevation of the nasal vestibular folds. They are opened after 6 months. 2. Modified Young's operation Partial closure of the nostril leaving behind a 3 mm hole. This remains for a period of 2 years. 3. Narrowing of the nasal cavity by (Lautenslagers operation) ? Submucosal injection of teflon paste Insertion of fat, cartilage, bone or teflon strips under the mucoperiosteum of floor & lateral wall of nose. Section and medial displacement of lateral wall of nose. 4. Lautenslagers operation Surgical procedures aimed at medializing the lateral nasal wall using substances like : Paraffin, teflon, Polythere cartilage.